Which of the following is true statement regarding gastric carcinoma
1. Squamous cell carcinoma is the most common histological subtype
2. Often associated with Hypochlorhydria or Achlorhydria
3. Occult blood in stool is not seen
4. Highly radiosensitive tumor

Correct answer: 2. Often associated with Hypochlorhydria or Achlorhydria

Explanation: 85% gastric carcinomas - Adenocarcinoma 15% - Lymphomas, Gastrointestinal stromal tumors(GISTs) and leimyosarcomas Clinical features: insidious upper abdominal discomfort varying in intensity from a vague, post prandial fullness to steady severe pain. Anorexia often with slight nausea. Weight loss, dysphagia and early satiety. There may be Hypochlorhydria or Achlorhydria. Pg No. 1130 BAILEY 27TH EDITION